Aminoacids with its PKR valve within physiological range is:
1. Glycine
2. Histidine
3. Lysine
4. Arginine

Correct answer: 2. Histidine

Explanation: Histidine